Selective medium for Gonococci rpt
1. Thayer - main medium
2. LJ medium
3. DCA medium
4. MacConkey's medium

Correct answer: 1. Thayer - main medium

Explanation: Question repeated.